Maximum dilatation of esophagus occurs in:
1. Carcinoma at gastro esophageal junction
2. Achalasia cardia
3. Stricture of lower end
4. CRUST syndrome

Correct answer: 2. Achalasia cardia

Explanation: Ans: b (Achalasia cardia)Ref: Bailey & Love, 24,hed, p. 1017 & 23rd ed, p. 882